Triple deformity of the knee is a complication of:
1. Tuberculosis
2. Osteoarthritis
3. Septic arthritis
4. All of the above

Correct answer: 1. Tuberculosis

Explanation: Ans. A i.e. Tuberculosis Skeletal TB MC site of skeletal TB: Vertebrae In Spine, TB starts in: Vertebral body MC region involved in spinal TB: T9-L1 Earliest symptom of spinal TB: Pain Earliest X-ray sign in Pott's disease: Narrowing of disc space